Which of the following biologic agent approved for treatment of psoriasis or psoriatic arthritis is not anti- TNF-a?
1. Etanercept
2. Alefacept
3. Infliximab
4. Adalimumab

Correct answer: 2. Alefacept

Explanation: Ans. B. Alefacept.BIOLOGICS APPROVED FOR PSORIASIS OR PSORIATIC ARTHRITIS Mechanism of Action Administration AgentIndicationRouteFrequencyWarningsAlefaceptAnti-CD-2 (fusion protein against LFA-3)PsIMOnce weekly x 12 weeks; may repeatLymphopenia, potential for increased malignancies, serious infectionsEtanerceptAnti TNF- aPs, PsASCOnce or twice weeklySerious infections, neurologic events, hematologic events, potential for increased malignanciesEfalizumabAnti CD-11aPsSCOnce weeklySerious infections, potential for increased malignancies, thrombocytopenia, hemolytic anemia, psoriasis worseningAdalimumabAnti TNF-aPsASCEvery other weekSerious infections, neurologic events, potential for increased malignancies, hypersensitivity reactions, hematologic eventsInfliximabAnti TNF- aPsAIVInitial infusion followed by infusions at week 2, 6, then every 8 weeksSerious infections, hepatotoxicity, hematologic events, hypersensitivity reactions, neurologic events, potential for increased malignancies